Austin Flint Murmur is commonly mistaken for the murmur of:
1. Mitral regurgitation
2. Pulmonary regurgitation
3. Tricuspid stenosis
4. Mitral stenosis

Correct answer: 4. Mitral stenosis

Explanation: Ans. D: Mitral stenosis